Gamma knife – a) Steel knifeb) Used for cutting tumours in difficult locationc) Cobalt is usedd) Recovery delayed
1. a
2. c
3. ac
4. bc

Correct answer: 4. bc

Explanation: Gamma knife is used for stereotactic radiosurgery for tumors in difficult locations e.g. deep seated brain tumors. It contains Cobalt - 60 sources.